The accepted nomenclature of amyloidosis is AX. What stands for A and X:
1. A-Amyloid X protein in the fibril
2. A- Amyloid X- beta pleated structure
3. A-Amyloid X- helical structure
4. A- Amyloid X -birefringent

Correct answer: 1. A-Amyloid X protein in the fibril

Explanation: Amyloid diseases are classified according to whether they are systemic or localized, acquired or inherited. The accepted nomenclature is AX A indicates amyloidosis X represents the protein in the fibril. Ref: Harrison, Edition-18, Page-942.